A 5 year old child diagnosed with cystic lesion with a enhancing mural nodule seen in cerebellar hemisphere on Brain MRI has
1. Meningioma
2. Schwannoma
3. Pilocytic astrocytoma
4. Glioma

Correct answer: 3. Pilocytic astrocytoma

Explanation: Cystic lesion with an enhancing mural module in a child is suggestive of Pilocytic astrocytoma In a adult above finding is suggestive of Hemangioblastoma Figure: Large posterior fossa cystic lesion with enhancing mural nodule.